Slowest conduction velocity in which part of conducting system-
1. AV node
2. Purkinje fibres
3. Bundle of his
4. Ventricular myocardial fibres

Correct answer: 1. AV node

Explanation: Ans. is 'a' i.e., AV node * Speed of conduction is slowest in AV node and SA node.Cardiac tissueConduction velocity (meter/second)SA node0 [?] 05Inteatrial pathways1Atrial muscle0 [?] 30AV node0 [?] 05 (minimum)Bundle of His1Purkinje system4 (maximum)Ventricular muscle1